Following vasectomy,
1. Sterility is achieved immediately
2. Onset of sterility is predictable
3. Semen has to be analyzed till 2 consecutive sperm counts are zero
4. No need to use additional contraception after 1 month

Correct answer: 3. Semen has to be analyzed till 2 consecutive sperm counts are zero

Explanation: Sterility following vasectomy is not immediate nor is its onset predictable. Thus another form of contraception is recommended until azoospermia is documented.